Energy yield of fats is
1. 4 kcal per gram
2. 6 kcal per gram
3. 8 kcal per gram
4. 9 kcal per gram

Correct answer: 4. 9 kcal per gram

Explanation: Carbohydrates and proteins - 4 kcal per gram.
Fats - 9 kcal per gram.